Which of the following drug reduces blood pressure primarily by directly decreasing heart rate alone:
1. Propranolol
2. Prazosin
3. Alpha methyl dopa
4. Nitroprusside sodium

Correct answer: 1. Propranolol